Anterior uveitis is characterized by A/E :
1. Aqueons flare
2. Shallow anterior chamber
3. Circumcorneal cangestion
4. Miosis

Correct answer: 2. Shallow anterior chamber

Explanation: Ans. is 'b' ie shallow anterior chamber Shallow anterior chamber is not seen in acute anterior uveitis, rather a ring or annular synechiae (post synechiae) lead to funnel shaped AC (deep in centre and shallow at periphery)